Selective granular IgA deposit at dermal papillae tips is seen in
1. Bullous phemphigoid
2. Dermatitis Herpetiformis
3. Lichen planus
4. Phemphigus vulgaris

Correct answer: 2. Dermatitis Herpetiformis